Pack year means
1. 10 cigarettes per day for 1 year
2. 20 cigarettes per day for 1 year
3. 40 cigarettes per day for 1 year
4. 50 cigarettes per day for 1 year

Correct answer: 2. 20 cigarettes per day for 1 year

Explanation: (B) 20 cigarettes per day for 1 year# A pack-year is a quantification of cigarette smoking.> 1 pack-year is equal to smoking 20 cigarettes (1 pack) per day for 1 year, or 40 cigarettes per day for half a year, and so on.> Number of pack-years = (packs smoked per day) * (years as a smoker).